All of the following are the classical presentation of Cranioverebral junction anomalies except -
1. Pyramidal signs
2. Low hairline
3. Short neck
4. Pupillary asymmetry

Correct answer: 4. Pupillary asymmetry

Explanation: Ans. is 'd' i.e., Pupillary asymmetry Craniovertebral anomalies Craniovertebral anomalies include congenital anomalies at the base of the skull and atlantooccipital region. It includes the occipito atlanto axial complex Symptoms and signs of craniovertebral junction anomalies Signs and symptoms of craniovertebral junction anomalies reflect the abnormalities and compromise of the following structures. a) Pons b) Medulla c) Cervicomedullary junction and upper cervical spinal cord d) Lower cranial nerves e) Cervical nerve roots f) Vascular supply to the neural structures o In craniovertebral anomalies there is involvement of so many neurological structures that it presents with confusing neurological picture. o A patient with congenital anomaly of craniovertebral junction usually presents with an abnormal physical appearance. Congenital anomalies included in craniovertebral anomalies also include Klippel-Feil syndrome and Down's syndrome. o Findings in Klippel -- Feil syndrome is Head cocked to one side Short neck Abnormally low hairline posteriorly Limitation of neck movement Some more important facts about craniovertebral junction anomaly o Most common neurological symptom is posterior occipital headache, that worsens with neck flexion and extension. o Myelopathy with involvement of pyramidal tract is also very common symptom associated with craniovertebral anomaly. o Most common cranial nerve dysfunction is hearing loss o Pupillary asymmetry usually results due to abnormality of 2"d or 3rd nerve. o The 2"d nerve is cortical and 3rd nerve is related to the mid brain so quiet obviously they will not get involved in craniovertebral junctional anomaly.